Hemorrhagic fever is caused by -
1. West-Mile fever
2. Sandfly fever
3. Ebola virus
4. All of the above

Correct answer: 3. Ebola virus

Explanation: kyasanur forest disease a hemorrhagic fever found in Karnataka. It is an arboviral disease. a new arbovirus genetically related to RSS isolated REF:ANANTHANARYANAN TEXTBOOK OF MICROBIOLOGY 9EDITION PGNO.524